Nolla stage 6 means:
1. Crown completion
2. 1/3rd root completed
3. 2/3rd root completed
4. Crown almost completed

Correct answer: 1. Crown completion